Most important prognostic factor for colorectal carcinoma is
1. Site of lesion
2. Tumour size & characteristics
3. Age of patient
4. Lymph node status

Correct answer: 4. Lymph node status

Explanation: .Secondaries are said to be precocious, wherein liver secondary is first identified, later the primary site is detected (carcinoid tumour/colorectal carcinoma). When primary and liver secondaries are identified at the same time it is called as synchronous secondaries (carcinoma stomach). ref:SRB'S manual of surgery,ed 3,pg no 545